A 24 year old unmarried woman has multiple nodular, cystic, pustular and comedonicus lesions on face, upper back and shoulders for 2 years. The drug of choice for her treatment:
1. Erythromycin
2. Isotretinoin
3. Doxycycline
4. Azithromycin

Correct answer: 2. Isotretinoin

Explanation: Acne is which is multinodular in nature is treated using dofferent types of drugs one of them is isoretinoin which belongs to retinoids family.all others are antibiotics which are given as secondary tretment. Ref: kd tRipathi 8th ed.